Sex differentiation from hair can be made by
1. Length colour and texture
2. Cortico medullary ratio
3. Epithelial cells of hair follicle
4. Scale type

Correct answer: 3. Epithelial cells of hair follicle

Explanation: Sexing of the human hair is possible by studying sex chromatin from the hair root cells of the scalp. Barr bodies are demonstrable in hair follicle in a proportion of 29 +- 5% in females and 6 +- 2% in males. Male hair are generally thicker, coarser and darker. Female hair are generally fine, long and gently taper to an end. Blood grouping and other serological criteria can be determined from the hair root cells. The cells of the hair root can also be used for DNA-profiling . Ref : Krishnan vij Textbook of Forensic medicine and Toxicology 5th edtion ; pg no - 54